All of following are seen in GH deficiency except
1. Hyperglycemia
2. Stunting
3. Delayed bone age
4. High pitched voice

Correct answer: 1. Hyperglycemia

Explanation: Answer- A. HyperglycemiaSho children with normal body propoionsMarkely increased subcutaneous fatPropoionate growth retardationDelayed skeletal age than chronological age than height age is less than skeletal age and chronological age.Hypoplastic penis (micropenis) and scrotumMay present with severe hypoglycemic convulsions.Crowding of midfacial featuresGenitals are small (sexual infantilism)FrontalbossingDelayed pubeyDelayed tooth eruptionDelayed epiphyseal fusionNo intellectual disability